Which of the following is false about sideropenic dysphagia?
1. Pre malignant
2. Pre cricoid webs
3. Anemia
4. Common in peri menopausal women

Correct answer: 2. Pre cricoid webs

Explanation: Sideropenic dysphagia or plummer vinson syndrome has post cricoid webs. Triad is IDA, chelitis and koilonychia.